A patient was administered a competitive neuromuscular blockade which acts on nicotinic receptor At the end of surgery which of the following drugs can be administered to reverse the effects of that drug
1. Succinyl choline
2. Neostigmine
3. Physostigmine
4. carbochol

Correct answer: 2. Neostigmine

Explanation: Neostigmine is used to reverse effects of competitive NM blockade ref : willey 10th ed